All form the boundaries of the ovarian fossa, except -
1. Ureter
2. Internal pudendal artery
3. Obliterated umbilical artery
4. Internal iliac artery

Correct answer: 2. Internal pudendal artery

Explanation: Ans. is 'b' i.e., Internal pudendal arteryo Each ovary lies in ovarian fossa and the lateral pelvic wall which is boundedAnteriorly: Obliterated umbilical arteryPosteriorly: Ureter and internal iliac artery